Which one of the following substances, actively transported by the tubular cells, has the highest Tubular Transport Maximum
1. Plasma protein
2. Haemoglobin
3. Glucose
4. Sodium

Correct answer: 3. Glucose

Explanation: Transport Maximum (Tm)
Glucose- 375mg/min
Plasma proteins- 30mg/min
Na+- No transport maximum